Disaccharidase enzyme present in-
1. Pancreas
2. Stomach
3. Small intestine
4. Liver

Correct answer: 3. Small intestine

Explanation: Ans. is 'c' i.e., Small intestine * Disaccharidases (surase, lactase) are present in brush border of small intestinal cells (duodenum and jejunum).